In preanaesthetic evaluation of airway anesthesiologist wrote Mallampati grade III. What does it signify-
1. Full view of soft palate uvula, tonsillar pillars
2. View of Soft palate and hard palate
3. Only hard palate
4. Full view of soft palate, uvula, fauces, tonsillar pillars

Correct answer: 2. View of Soft palate and hard palate